A previously healthy 45 yrs old laborer suddenly develops acute lower back pain with right-leg pain & weakness of dorsiflexion of the right great toe. Which of the following is true:
1. Immediate treatment should include analgesics muscle relaxants & back strengthening exercises
2. The appearance of the foot drop indicate early surgical intervention
3. If the neurological sign resolve with in 2 to 3 weeks but low back pain persists, the proper treatment would include fusion of affected Lumbar vertebra
4. If the neurological signs fail to resolve within 1 week, Lumbar laminectomy and exscision of any herniated nucleus pulposus should be done.

Correct answer: 2. The appearance of the foot drop indicate early surgical intervention

Explanation: B i.e. The appearance of the foot drop indicate early surgical intervention